Ligamentum teres hepatis is derivative of:
1. Ductus arteriosus
2. Ductus venosus
3. Umbilical vein
4. None of the above

Correct answer: 3. Umbilical vein

Explanation: After birth, the left umbilical vein and ductus venosus are obliterated and form the ligamentum teres hepatis and ligamentum venosum, respectively. Ref: Langman's embryology 11th edition Chapter 12.